Tentative cut is a feature of?
1. Fall from the height
2. Homicidal assault
3. Accidental injury
4. Suicidal attempt

Correct answer: 4. Suicidal attempt

Explanation: D i.e. Suicidal attempt